Na channel mediated TTXN resistant caused is d
to involvement of the following:
1. Nav 1.1
2. Nav 1.8
3. TRPI
4. NMD4

Correct answer: 2. Nav 1.8